Which of the following conditions is the most common complication of radioiodine treatment of Grave's disease?
1. Thyroid storm
2. Subacute thyroiditis
3. Thyroid cancer
4. Hypothyroidism

Correct answer: 4. Hypothyroidism